Cause of clostridium difficle associated diarrhea ?
1. Trauma
2. Dairy products
3. Fried rice
4. Antibiotic use

Correct answer: 4. Antibiotic use

Explanation: Ans. is 'd' i.e., Antibiotic use